Post partum pyrexia is defined as an oral temperature of :
1. 100.4deg For more
2. 100.4' F or more on any of the first 10 postpar turn days
3. 100.4deg F or more on 2 days from 2nd through 10' postpartum days
4. 100.4deg F or mare on 2 postpartum days

Correct answer: 3. 100.4deg F or more on 2 days from 2nd through 10' postpartum days

Explanation: 100.4deg F or more on 2 days from 2nd through 10' postpartum days